A young male patient presents with LDL 600 mg/dl, triglycerides 160 mg/dl. What would be the most likely finding on physical examination -
1. Tendon xanthoma
2. Lipemiaretinalis
3. Eruptive tuberous xanthomas
4. Xanthelesma

Correct answer: 1. Tendon xanthoma

Explanation: Xanthoma tendinosum (also tendon xanthoma or tendinous xanthoma) is clinically characterized by papules and nodules found in the tendons of the hands, feet, and heel. Also associated with familial hypercholesterolemia (FH) Tendon xanthomas are associated with type II hyperlipidemia, chronic biliary tract obstruction, primary biliary cirrhosis and the rare metabolic disease cerebrotendineous xanthomatosis. Palmar xanthomata and tuberoeruptive xanthomata (over knees and elbows) occur in type III hyperlipidemia Ref Davidson 23rd edition pg 981